First bone to ossify
1. Scaphoid
2. Lunate
3. Capitate
4. Pisiform

Correct answer: 3. Capitate